Lingula gives attachment to:
1. Upper medial incisor
2. Sphenomandibular ligament
3. Temporomandibular ligament
4. All

Correct answer: 2. Sphenomandibular ligament

Explanation: Ligament Attachments of Mandible:

Sphenomandibular ligament is attached to lingula on the medial surface.
Stylomandibular ligament is attached to angle and posterior border of ramus of mandible.
Lateral ligament of TMJ is attached to lateral surface of neck of condyle.